Gene for Wilm’s tumor is located on
1. Chromosome 1
2. Chromosome 11
3. Chromosome 10
4. Chromosome 12

Correct answer: 2. Chromosome 11

Explanation: Easiest way to remember that info….. count the number of letters in Wilms tumour..yea it is exactly 11…the location ofboth genes associated with Wilms tumour 
So, the two genes associated with Wilms tumour WT1 gene (located on chr 11p13)and WT2 gene (located on chr 11p15).